ICD chapter 21 includes all except -
1. Alcohol
2. Tobacco
3. Injury
4. Drugs

Correct answer: 3. Injury

Explanation: Ans. is 'c' i.e.. Injury o ICD -10 code in chaptor XXI (Factor influencing health status and contact with health sendees): -Problem relating to lifestyleAlcohol useTobacoo useDrug useLack of physical exerciseInappropriate diet and eating habitsHigh risk sexual behaviour